Antidepressant drug that can he used in nocturnal enuresis is?
1. Imipramine
2. Fluvoxamine
3. Phenelzine
4. Bupropion

Correct answer: 1. Imipramine

Explanation: In children above 5 years, imipramine 25 mg at bedtime is effective, but bed wetting may again start when the drug is stopped. Eldery subjects with bed wetting have also benefited. REF: KD Tripati 8th ed.